True about relations of thoracic esophagus ?
1. Trachea posteriorly
2. Aortic arch on right side
3. Left bronchus anteriorly
4. Thoracic duct on right side

Correct answer: 3. Left bronchus anteriorly

Explanation: Ans. is'c'i.e., Ieft bronchus anteriorly(Ref: Snell's p. 128)The relations of the thoracic part of the esophagus from above downward are as follows:Anteriorly: The trachea and the left recurrent laryngeal nerve: the left principal bronchus which constricts it; and the pericardium, which separates the esophagus from the left atrium.Posteriorly : The bodies of the thoracic vertebrae, the thoracic duct, the azygos veins, the right posterior intercostal arteries and at its lower end the descending thoracic aorta.Right side: The mediastinal pleura and the terminal part of the azygos vein.Left side: The left subclavian artery, the aortic arch, the thoracic duct the mediastinal pleura.